Mark the FALSE statement about Secondary cataract :
1. Sommering ring is seen after blunt trauma to the eye
2. Diameter of Vossious Ring is smaller than pupil
3. Berlin's edema is post traumatic macular edema
4. Rosette cataract is a posterior cortical cataract

Correct answer: 1. Sommering ring is seen after blunt trauma to the eye

Explanation: sommering ring: it is not seen after blunt trauma to the eye . it refers thick ring of after cataract secondary cataract . It is opacity which persists or develops after extracapsular lens extraction. Other morphology of secondary cataract may be dense fibrous or Eschling's pearls A - vacuolated PCO, B - Eschling pearl formation, C - Fibrous PCO, D - Sommering's Ring Edit - Commotio retinae can involve any part of the retina, when involving the macula it is called Berlin's Edema